A 34 weeks pregnant woman with complaints of leaking vaginal discharge. What examination will confirm premature rupture of membranes in this patient?
1. Digital examination
2. USG exam
3. Speculum exam
4. Urine exam

Correct answer: 3. Speculum exam

Explanation: On per speculum examination - a gush of fluid is an obvious diagnostic test for PROM. If the leak is small or not significant, it may not be possible to visualise it. Some investigations which are known to help are - Nitrazine paper test Fern Test Indigocarmine dye test